Mammalia reservoir of Rickettsial pox -
1. Cattle
2. Goat
3. Mice
4. Human

Correct answer: 3. Mice

Explanation: Mammalian resevoir of ricketssial pox is mice. Man gets infection through bites of infected mites,which are found on mice. Transovarian transmission occurs in mite.The mouse act as true resevoirs as well as vectors. Parks textbook of preventive and social medicine.K Park. Edition 23.Pg no: 302